Characteristic translocation seen in Ewing's sarcoma:
1. t(2;8)
2. t (11;22)
3. t (x;18)
4. t (14;18)

Correct answer: 2. t (11;22)

Explanation: Ewing sarcoma mc translocation - t(11; 22) (q24; q12) Other diagnostic translocations,:: t(21; 22) (q22; q12), t(7; 22) (p22; q12), trisomy 8 and trisomy 12.